Kala azar is:
1. Mucocutaneous leishmaniasis
2. Cutaneous leishmaniasis
3. Oriental sore
4. Visceral leishmaniasis

Correct answer: 4. Visceral leishmaniasis

Explanation: Ans. d. Visceral leishmaniasis